The fibers of the corticospinal tract pass through which structure?
1. Medial lemniscus
2. Medullary pyramid
3. Posterior funiculus
4. Medial longitudinal fasciculus

Correct answer: 2. Medullary pyramid

Explanation: Corticospinal fibers pass through the Medullary Pyramid Extra edge Tracts Function Lateral corticospinal and rubrospinal tracts Control distal limb muscles for fine motor and skilled voluntary movements. Anteriorcorticospinal tract and tectospinal, reticulospinal, and vestibulospinal tracts Control the postural adjustments and gross movements